Retraction of tympanic membrane touching the promontory. It is called -
1. Mild retraction
2. Severe retraction
3. Atelectasis
4. Adhesive otitis

Correct answer: 3. Atelectasis

Explanation: Ans. is 'c' i.e., Atelectasis Sade's grading of Pars tensa retractionGradeTitleDescription1Retracted earSlight retraction of ear drum2Severe retractionRetracted drum touching the incus or stapes3AtelectasisTympanic membrane touching promontory4Adhesive otitisTympanic membrane adherent to promontory5 Spontaneous perforation of atelectatic ear drum with otorrhea & polyp formation